A patient on Aspirin will have increasing in
1. Bleeding time
2. Clotting time
3. Prothrombin time
4. Activated partial thromboplastin time

Correct answer: 1. Bleeding time

Explanation: Antiplatelet drugs like asprin and clopidogrel prolong the bleeding time Anticoagulant drugs prolong the clotting time Drugs interfering with extrinsic pathway like Warfare in prolonged the PT Drugs interfering with intrinsic pathway like heparin prolong the aPTT. Thrombin time is prolonged in cases of afibrinoginemia and dysfibrinogenemia. Refer kDT 6/e p609